Pulmonary embolism is best diagnosed by:
1. ECG
2. Perfusion scan
3. Angiography
4. Plain X-ray

Correct answer: 3. Angiography

Explanation: Ans. Angiography